Which of the following feature is used for identification of Cryptococcus neoformans?
1. Oxidase +ve
2. Dextran fermentation
3. Hydrolyse urea
4. Ability to grow at 42degC

Correct answer: 3. Hydrolyse urea

Explanation: Ans. c. Hydrolyse urea